Which of the following periodontal probes has a ball at its tip?
1. Marquis
2. WHO
3. Michigan
4. UNC-15

Correct answer: 2. WHO